DCA media used in differentiation of which infection?
1. Salmonella
2. Staph aureus
3. H. influenzae
4. Bordetella

Correct answer: 1. Salmonella

Explanation: Ans. is 'a' i.e., Salmonella Deoxycholate citrate agar (DCA) medium is a selective medium for Salmonella and Shigella. It is also used as a differential medium to differentiate lactose fermenter from non-lactose fermenting enteric pathogens. Salmonella and Shigella (except Shigella Sonnei) are non-lactose fermenters.